Safest anesthetic agent in porphyria patient is?
1. Pentazocine
2. Etomidate
3. Propofol
4. Thiopentone

Correct answer: 3. Propofol

Explanation: Ans. is 'c' i.e., Propofol Anesthetics in porphyriaSafeUnsafe (should not be used)* Propofol* Benzodiazepines* Opioids (other than pentazocine)- morphine, codeine, pethidine, fentanyl, alfentanyl, naloxone* Lidocaine, Bupivacaine* Muscle relaxants* Neostagmine, atropine, glycopyrrolate* Aspirin, indomethacin, naproxen* Halothane, N2O, isoflurane* Barbiturate (thiopentone)* Etomidate* Pentazocine* Ropivacaine